Which of the following drug is used for prophylaxis of migraine?
1. Diclofenac
2. Flunarizine
3. Sumatriptan
4. Dihydroergotamine

Correct answer: 2. Flunarizine

Explanation: Drugs used in prophylaxis of migraine Propranolol/other beta blockers Amitriptyline/other tricyclic antidepressants Fluanarazine/other Ca2+ channel blockers Valproate/topiramate Methysergide/cyproheptadine Ref: KD Tripathi, Pg 169